Glossopharyngeal nerve supply
1. Stylopharyngeus muscle
2. Palatopharyngeus
3. Salpingopharyngeus
4. Constrictors of pharynx

Correct answer: 1. Stylopharyngeus muscle